5 HIAA in urine is due to:
1. Pheochromocytoma
2. Carcinoid syndrome
3. Phenyl ketonuria
4. Alkaptonuria

Correct answer: 2. Carcinoid syndrome

Explanation: Ans. B. Carcinoid syndromeIn Pheochromocytoma VMA is excreted in excess in urine.In Carcinoid syndrome 5 HIAA is excreted in excess in urine.In PKU Phenyl Ketones like Phenyl acetate and Phenyl Pyruvate is excreted in urine.In Alkaptonuria Homogentisate is excreted in urine.